Rotational changes in the mandible essentially consist of
1. Matrix rotation 25% and Intramatrix rotation 75%
2. Matrix rotation 50% and Intramatrix rotation 50%
3. Matrix rotation 100% and Intramatrix rotation 0%
4. Matrix rotation 0% and Intramatrix rotation 100%

Correct answer: 1. Matrix rotation 25% and Intramatrix rotation 75%